IUD is recommended to a women in these situations except
1. Has one child
2. Has normal menstrual cycle
3. Has access to follow - up
4. Has multiple sexual partners

Correct answer: 4. Has multiple sexual partners

Explanation: IUD is not recommended to a women with multiple sexual partner and who has not born a child.